Mycotic abscesses are due to:
1. Bacterial infection
2. Fungal infection
3. Viral infection
4. Mixed infection

Correct answer: 2. Fungal infection

Explanation: Mycotic abscess is a abscess caused by fungal infection. So fungal infection is the single best answer of choice. Ref: Textbook of Neurosurgery By Prakash Narain Tandon, Ravi Ramamuhi, Page 150.